Highly specific and sensitive test for diagnosing kalaazar:
1. Complement fixation test with WKK antigen
2. Napier's aldehyde test
3. Chopra's antimony test
4. Immunofluorescent antibody test

Correct answer: 4. Immunofluorescent antibody test

Explanation: Ans. D: Immunofluorescent antibody test The direct agglutination test (Immunofluorescent antibody test) for anti-leishmanial antibody has been found to be highly specific and sensitive for diagnosing kal-azar. Complement fixation test with WKK antigen, Napier's aldehyde test and Chopra's antimony test is also positive in some other conditions like TB and leprosy